SAPHO syndrome components are all except-
1. Acne
2. Hyperostosis
3. Osteitis
4. Acantholysis

Correct answer: 4. Acantholysis

Explanation: Ans. is 'd' i.e., Acantholysis SAPHO Svndromeo SAPHO syndrome is manifested by synovitis, acne, pustulosis, hyperostosis, and osteitis.o It is predominantly associated with hyperostosis of the anterior chest, palmoplantarpustulosis, hidradenitissuppurativa, and acne fulminans.o Its etiology is unknown.o Reported successful treatments for SAPHO syndrome are NSAIDS, sulfasalazine, and infliximab.The bisphosphonates are beneficial for treating the associated bone pain.